A 9-year-old boy came to OPD with well-controlled, moderately persistent asthma. He is taking short-acting beta-agonists, daily inhaled steroids, and a leukotriene inhibitor. He is now complaining of white patches on his buccal mucosa. Next best step is?
1. HIV testing
2. Rinse his mouth after use of inhaled medications
3. Measurement of serum immunoglobulins
4. Discontinuation of all his asthma medications

Correct answer: 2. Rinse his mouth after use of inhaled medications

Explanation: As the patient has moderately persistent asthma, he must be taking Inhaled steroids. Habit of failure to rinse his mouth after taking Inhaled steroids leads to Oral Candida infection (Thrush).